Which one of the following is the example of ATP-binding cassette (ABC) transporter?
1. F0-F1 pump
2. SERCA in the skeletal muscle
3. SUR (sulfonylurea receptor) in pancreas
4. Band 3

Correct answer: 3. SUR (sulfonylurea receptor) in pancreas

Explanation: ATP-dependent transporters are of two types: ATPase ion transporters ATP-binding cassette (ABC) transporters. ABC transport proteins have a motif in their amino acid sequence that is an ATP-binding cassette (ABC). ATPases are primary active transporters or pumps; ABC transporters can act as pumps, channels or regulators. Sulfonylurea is a class of anti-diabetic drugs; these drugs have receptors (SUR) on the pancreatic b-cell. SUR belongs to the ABC-C subfamily. ATPases are of 3 types ~ P-type, V-type, and F-type. SERCA is P-type ATPase. (P-type is also called E1-E2ATPase.) F0-F1 pump in the mitochondrial membrane is F-type ATPase. Band 3 protein is the Cl-/HCO3- exchanger (antiporter).